A forty year women complained of swelling in front of neck, nervousness and loss of weight. She was diagnosed with hyperthyroidism. Partial thyroidectomy was performed and now she is complaining of hoarseness after the operation. What may be the reason:-
1. Injury to recurrent laryngeal nerve
2. Injury to internal laryngeal nerve
3. Injury to external laryngeal nerve
4. Any of above.

Correct answer: 1. Injury to recurrent laryngeal nerve

Explanation: Hoarseness of voice may because of the injury to the Recurrent laryngeal nerve. Recurrent laryngeal nerve lies close to the inferior thyroid artery near to the lower pole of gland and can be injured during the thyroid surgeries.